Tobacco pouch appearance is seen in:
1. TB of fallopian tubes
2. Endometriosis
3. Ca Ovary
4. Ca Fallopian tube

Correct answer: 1. TB of fallopian tubes

Explanation: Ans. is 'a' i.e., TB of fallopian tubes * In active tuberculosis, HSG is contraindicated.HSG findings in a case of tuberculosis are:1) Lead pipe tubes2) Tobacco pouch appearance3) Beaded tubes4) Hydrosalpinx5) Cornual blocks6) Intravasation of the dye7) Golf club tube8) Sperm head tube9) Honeycomb appearance of uterus (Asherman syndrome)10) Pseudounicornuate appearance of uterus (due to intrauterine adhesions only on one side)